Which of the following is the most common form of malignant melanoma?
1. Nodular
2. Superficial spreading
3. Acral lentiginous
4. Mucosal

Correct answer: 2. Superficial spreading

Explanation: The commonest type of melanoma is the superficial spreading melanoma (SSM). The melanoma progress through 3 phases: in situ, radial growth, vertical growth. NB: A primary melanoma with no recognizable adjacent in situ or radial growth phase is nodular melanoma. Melanoma with similar prevalence in all ethnic groups- acral lentiginous Ref: Rook's textbook of dermatology, Edition-8, Page-54.45.